A 30-year-old construction worker presented with exertional pain in his B/L forearms and hands. There is history of chronic cigarette smoking. O/E, Faint radial and ulnar pulses Easily palpable brachial pulse Angiography of the hand was done. Which of the following is the best treatment of the above condition: -
1. Enoxaparin
2. Prednisolone
3. Warfarin
4. Smoking cessation

Correct answer: 4. Smoking cessation

Explanation: 1st image shows the gangrene of the digits. 2nd image shows the smooth tapering segmental lesions in small arterial distal vesels. This is a case of Thromboangitis obliterans/ Buerger's disease. Young male Heavy cigarette smoker Inflammatory occlusive vascular disorder Triad of claudication, Raynaud's phenomena and migratory superficial vein thrombophlebitis. Prognosis is worse in patients who continue to smoke. Best treatment is cessation of smoking. Cilastozol has no proven role.